Metrifonate is effective against -
1. Amoebiasis
2. Leishmaniosis
3. Schistosomiasis
4. Giardiasis

Correct answer: 3. Schistosomiasis

Explanation: Ans. is 'c' i.e., Schistosomiasis Infecting Organism Roundworms (nematodes) Drug of Choice Alternative Drugs Ascaris lumbricoides (roundworm) Albendazole's or pyrantel pamoate or membendazole Piperazine Trichuris trichiura (whipworm) Mebendazole or albendazole Oxantel/pyrantel pamoate Necator americanus (hookworm) Pyrantel pamoate or mebendazole or albendazole Ancylostoma duodenale (hookworm) Ivermectin Thiabendazole, albendazole Strongyloides stercoralis (threadworm) Mebendazole or pyrantel pamoate Albendazole Enterobius vermicularis (pinworm) Mebendazole; add corticosteroids Albendazole; add corticosteroids Trichinella spiralis (trichinosis) for severe infection for severe infection Trichostrongylus species Pyrantel pamoate or mebendazole Albendazole Cutaneous larva migrans (creeping eruption) Albendazole or ivermectin Thiabendazole (topical) Visceral larva migrans Albendazole Mebendazole Angiostrongylus contonensis Thiabendazole Albendazole or mebendazole Wuchereria bancrofti (filariasis); Brugia malayi Diethylcarbamazine<!--> <w:LsdException Locked="false" Priority="64" SemiHidden="false" UnhideWhenUsed="false" Name="Medium Shading 2 Accent